Transtuzumab is targeted against?
1. Her 2 neu
2. CD 20
3. EGFR
4. VEGF

Correct answer: 1. Her 2 neu

Explanation: Ans. is 'a' i.e., Her 2 neu